AH plus & AH 26 are
1. Root canal cements
2. Medicated root canal paste
3. Fillers
4. Root canal filling material

Correct answer: 1. Root canal cements